Tracheotomy is performed uneventfully in a 79-year-old ventilator-dependent encephalopathic male. After several spontaneous breaths, however, the patient stops breathing. The anesthesiologist continues to assist the patient's breathing for several minutes, after which the patient again breathes spontaneously. The most likely cause of apnea is:
1. A mucus plug blocked the tracheotomy tube.
2. Bleeding in the trachea.
3. Preoperative respiration was driven by hypoxia.
4. The patient was allergic to Latex.

Correct answer: 3. Preoperative respiration was driven by hypoxia.

Explanation: Hypoxia can become the primary stimultion for respiration. Sudden elevation of PO2 can eliminate the respiratory drive, which will resume by lowering the PCO2